Carbmazepine is the drug of choice in -
1. Absence attacks
2. Partial complex siezures
3. Myoclonus
4. Innantile spams

Correct answer: 2. Partial complex siezures